Mantoux test is based on which hypersensitivity-
1. Typel
2. Type 2
3. Type 3
4. Type 4

Correct answer: 4. Type 4

Explanation: Ans. is 'd' i.e.. Type 4 Following are the examples of type 4 hypersensitivity reactionsType 1 diabetes mellitusHashimoto thyroiditisCrohn's diseaseMultiple sclerosisContact dermatitisMantoux test